All of the following are TRUE regarding erythrocyanosis frigida, EXCEPT:
1. Seen exclusively in alcoholic males
2. Occurs in the lower third of leg on leg or ankle
3. Causes Bazin's ulcer
4. Sympathectomy may be beneficial in some patients

Correct answer: 1. Seen exclusively in alcoholic males

Explanation: Erythrocyanosis frigid occurs exclusively in young females. Usually these people are obese with thick ankles and large amounts of subcutaneous fat. The etiology is believed to be ischemia of the area involved due to spasm of branches of posterior tibial and peroneal arteries. The vessels are abnormally sensitive hot and cold weather as in Raynaud's disease. The non healing ulcers formed due to the ischemia are called Bazin's ulcer. Ref: Manpal Millennium Edition, Page 52